Superficial inguinal ring is present in aponeurosis of which muscle:
1. External oblique
2. Internal oblique
3. Transversus abdominis
4. Rectus abdominis

Correct answer: 1. External oblique

Explanation: Ans. A. External obliqueThe superficial inguinal ring is an anatomical structure in the anterior wall of the abdomen. It is a triangular opening that forms the exit of the inguinal canal, which houses the ilioinguinal nerve and the spermatic cord (in men) or the round ligament (in women). At the other end of the canal, the deep inguinal ring forms the entrance.It is found within the aponeurosis of the external oblique, above and superolateral to the pubic tubercle.